The term applied when it is doubtful, according to mixed dentition analysis, whether there will be space for all the teeth is
1. Space maintenance
2. Space regarding
3. Space supervision
4. None of the above

Correct answer: 3. Space supervision